Typical cell in lymphoid tissue of a case of measles shown in the illustration is:
1. Guarnieri bodies
2. Cowdry bodies
3. Warthin Finkeldey cells
4. Councilman bodies

Correct answer: 3. Warthin Finkeldey cells

Explanation: Ans. C. Warthin Finkeldey cellsA Warthin-Finkeldey cell is a type of giant multinucleate cell found in hyperplastic lymph nodes.It is seen in: -a. Early in the course of measlesb. In HIV-infected individualsc. Kimura diseased. Rarely in a number of neoplastic (e.g. lymphoma) and non-neoplastic lymph node disorders.e. Their origin is uncertain, but they have previously been shown to stain with markers similar to those of follicular dendritic cells, including CD21. Under the light microscope, these cells consist of a large, grape-like cluster of nuclei.